When assessing tooth mobility the best indicator is
1. Condition of gingival periodontal fibers
2. Horizontal crown displacement
3. Root displacement within the remaining periodontal ligament
4. Amount of calculus and plaque present

Correct answer: 3. Root displacement within the remaining periodontal ligament